In Marfan's syndrome, Aortic aneurysm occurs most commonly in:
1. Ascending aorta
2. Descending aorta
3. Abdominal aorta
4. Arch or aorta

Correct answer: 1. Ascending aorta

Explanation: Answer is A (Ascending Aorta) Aortic aneurysms in Marfan's syndrome occur most frequently in the ascending aorta. Cardiovascular lesions in Marfan's syndrome Cardiovascular lesions are the most life threatening features of Marfan's syndrome. Mitral valve prolapseQ (MVP) Loss of connective tissue support in mitral valves leaflets makes them soft and blowy creating the so-called 'floppy valve'. Mitral regurgitation frequently results. Dilatation of Ascending Aortae Media undergoes cystic necrosis (cystic medionecrosis). Loss of medial support results in progressive dilatation of aortic valve ring and root of aorta Severe aortic incompetenceQ Aortic dissections